Large granular cells belong to -
1. Neutrophils
2. Macrophages
3. Eosinophils
4. Lymphocytes

Correct answer: 4. Lymphocytes

Explanation: Ans. is 'd' i.e., Lymphocytes o When circulating lymphocytes are classified by their surface markers into T and B cells, about 5-10 percent of cells are found to lack features of either type they are called null cells/Large granular lymphocytes. o Large granular lymphocytes include:# Natural killer cells (N.K. Cells)# Antibody dependent cytotoxic cells/killer cells (ADCC).# Lymphokine activated killer cells (LAK cells).